Erythroderma % of skin involved is -
1. >90%
2. <30%
3. 30-60%
4. 60-70%

Correct answer: 1. >90%

Explanation: ERYTHRODERMA:-Erythema and scaling involving more than 90% of the body surface area. When scaling is the predominant feature-exfoliative dermatitis. Etiology:-1. Pre existing skin disease-psoriasis,lichen planus,contact dermatitis,seborrheic dermatitis,crusted scabies.2. Drugs- Allopurinol,Dapsone,Gold,Nifedipine,Sulpha drugs,isoniazid etc.3. Malignancy-lymphoma,leukemia.4. Idiopathic. Clinical features-Widespread erythema and scaling involving more than 90% of body surface.Fever with chills.Diffuse hair loss and nail dystrophy.Nail shedding. Treatment: Fluid and electrolyte balance.Replenishment of protein and iron.Treatment of underlying cause iadvl Textbook of dermatology page 490